Giant Papillary Conjunctivitis is caused by –
1. Contact Lens wear
2. Ocular Prosthesis
3. Protruding corneal sutures
4. All of the above

Correct answer: 4. All of the above

Explanation: Giant papillary conjunctivitis
It is conjunctivitis characterized by the formation of giant papillae. It occurs most probably due to mechanical irritation of the palpebral conjunctiva in cases of :-

Contact lenses
Artificial eyes
Prominent suture following surgery